Paget's disease of nipple is stained positive for:
1. CEA
2. S 100
3. Both of the above
4. None of the above

Correct answer: 1. CEA

Explanation: Paget's disease may be confused with superficial spreading melanoma. Differentiation from pagetoid intraepithelial melanoma is based on the presence of S-100 antigen immunostaining in melanoma and carcinoembryonic antigen immunostaining in Paget's disease. Surgical therapy for Paget's disease may involve lumpectomy, mastectomy, or modified radical mastectomy, depending on the extent of involvement and the presence of invasive cancer. Ref: Schwartz's principle of surgery 9th edition, chapter 17.